Meniere's disease is:
1. Perilymphatic hydrops
2. Endolymphatic hydrops
3. Otospongiosis
4. Coalescent mastoiditis

Correct answer: 2. Endolymphatic hydrops

Explanation: (b) Endolymphatic hydrops(Ref. Cummings, 6th ed., 2331)Meniere's is also known as endolymphatic hydrops.There is no condition called Perilymphatic hydrops.Otospongiosis also known as otosclerosis is fixation of foot plate of stapes.Coalescent mastoiditis is infection of the mastoid air cells and is a complication following ASOM/ unsafe CSOM.